Lyme disease is -
1. A mite-borne illness caused by Borrelia burgdorferi
2. A tick-borne illness caused by Borrelia burgdorferi
3. A louse-borne illness caused by Borrelia burgdorferi
4. Non vector-borne illness caused by Borrelia burgdorferi

Correct answer: 2. A tick-borne illness caused by Borrelia burgdorferi